What is the full form of ATLS -
1. Advanced Trauma Life Support
2. Advanced Tertiary Life Support
3. Advanced Trauma Life Salvage
4. Advanced Aertiary Longterm Safety

Correct answer: 1. Advanced Trauma Life Support

Explanation: Ans. is 'a' i.e., Advanced Trauma Life Support o Advanced trauma life support (commonly abbreviated ATLS) is a training program for medical providers in the management of acute trauma cases, developed by the American College of Surgeons.o Has been explained in previous sessions